Sequentially arrange the following Clauses of 320 IPC:1. Destruction or permanent impairing of the powers of any member or joint.2. Permanent disfiguration of the head or face.3. Emasculation4. Fracture or dislocation of a bone or tooth,
1. 1-2-4-3
2. 3-2-1-4
3. 3-1-2-4
4. 1 -4-2-3

Correct answer: 3. 3-1-2-4

Explanation: Ans (c) 3-1-2-4 style="font-size: 1.04761904761905em; font-family: Times New Roman, Times, serif">Ref: * Section 320 in the IPC: Grievous hurt. The following kinds of hurt only are designated as "grievous":# First: Emasculation# Second: Permanent privation of either eye.# Third: Permanent privation of the hearing of either ear.# Fourth: Privation of any member or joint.# Fifth: Destruction or permanent impairing of the powers of any member or joint.# Sixth: Permanent disfiguration of the head or face.# Seventh: Fracture or dislocation of a bone or tooth.# Eighth: Any hurt which endangers life or which causes the sufferer to be during the space of twenty days in severe bodily pain, or unable to follow his ordinary pursuits.